Which of the following opens inlet of larynx?
1. Thyroepiglottic
2. Triangular muscle
3. Cricothyroid
4. Lateral cricoarytenoid muscle

Correct answer: 1. Thyroepiglottic